A man is bitten by sea-snake is
1. Neurotoxic
2. Vasculotoxic
3. Myotoxic
4. All of the above

Correct answer: 3. Myotoxic

Explanation: (Myotoxic) (9.40-P)1. Elapids - cobra, king cobra, common krait, banded krait and the corals are neurotoxic2. Vipers - pit vipers and pitless vipers are vasculotoxic3. Sea-snakes - are myotoxic